Meig's syndrome consists of the following except -
1. Ascites
2. Hydrothorax
3. Benign ovarian tumour
4. Malignant ovarian tumour

Correct answer: 4. Malignant ovarian tumour